Raynaud's phenomenon is seen in
1. SLE
2. Rheumatic fever
3. Hypertension
4. Diabetes mellitus

Correct answer: 1. SLE

Explanation: Raynaud phenomenon results from exaggerated vasoconstrictionof arteries and arterioles in the extremities, particularlythe fingers and toes, but also sometimes the nose,earlobes, or lips. The restricted blood flow induces paroxysmalpallor or cyanosis; involved digits characteristicallyshow "red-white-and-blue" color changes from most proximalto most distal, reflecting proximal vasodilation, centralvasoconstriction, and more distal cyanosis, respectively.Raynaud phenomenon can be a primary entity or may besecondary to other disorders.Secondary Raynaud phenomenon refers to vascular insufficiencydue to arterial disease caused by other entitiesincluding systemic lupus erythematosus, scleroderma, Buerger disease, or even atherosclerosis.(Robbins Basic Pathology,9th edition,pg no.355)